Double bubble sign in an X-ray abdomen is indicative of:
1. Annular pancreas
2. Ileal atresia
3. Anal rectal malformation
4. All of the above

Correct answer: 1. Annular pancreas

Explanation: Ans. Annular pancreas